Not a copper containing IUD -
1. CuT-200
2. Nova -T
3. Multiload-250
4. LNG-20

Correct answer: 4. LNG-20

Explanation: Ans. is 'd' i.e., LNG-20 o LNG-20 is third generation IUD which does not contain cooper. Other three options are 23d generation (copper containing) IUDs.Intra-uterine deviceso An intrauterine device is a long acting reversible contraceptive birth control device placed in the uterus,o There are two basic types of IUD - Non-medicaied and medicated.o According to evolution, IUDs can be categorized1) First generation-Non-medicated or inert}medicated2) Second generation-Copper IUDs3) Third generation-Hormone releasing IUDs IUDsLife spanFirst generation :Lippe's loop (obsolete)-Second generation Copper-T-CuT-200-B4 yrCuT-2003 yrCuT-220C-Nova-T5 yrMultiload - 2503753 yr5 yrCuT-380A10 yrThird generation Progestasert1 yrLNG-20 (Mirena)5 yr (Ref: Novak p263; Note that Park mentions the life span of mirena to be 10 yrs)